Glucose absorption from GIT occurs by:
1. Simple diffusion
2. Facilitated diffusion
3. Secondary active transport
4. Endocytosis

Correct answer: 3. Secondary active transport

Explanation: Glucose enters all the cells by facilitated diffusion (GLUTs). It enters the cells and is trapped within the cells, to be metabolized. In the case of GIT and kidney, where glucose movement is occurring across the cells (for absorption/reabsorption), glucose movement from the lumen into the cells, across the apical membranes of cells, is occurring low-to-high concentration and hence is an example of secondary active transport or co-transport. The carrier is SGLT.